The majority of nerves that enter pulp are
1. Myelinated
2. Non myelinated
3. Mixed
4. None of the above

Correct answer: 2. Non myelinated

Explanation: The abundant nerve supply in the pulp follows the distribution of the blood vessels. The majority of the nerves that enter the pulp are nonmyelinated. Many of these gain a myelin sheath later in life.